Umbilical cord has ____________
1. 1 vein and 2 arteries
2. 2 vein and 2 arteries
3. 1 vein and 1 artery
4. 2 veins and 1 artery

Correct answer: 1. 1 vein and 2 arteries

Explanation: Umbilical cord contain two arteries & one vein. Ref : Ghai essential of pediatrics, 19th edition, p.no402 ; Davidson principal and practice of internal medicine, 22nd edition, p.no:630